The most common causative organism of canaliculitis is
1. HSV
2. Candida albicans
3. Actinomyces israelii
4. Nocardia asteroides

Correct answer: 3. Actinomyces israelii

Explanation: Chronic canaliculitis is an uncommon condition, frequently caused by Actinomyces israelii, anaerobic Gram-positive bacteria. Occasionally scarring and canalicular obstruction may result. Presentation is with unilateral epiphora associated with chronic mucopurulent conjunctivitis refractory to conventional treatment. There is pericanalicular redness and oedema, and mucopurulent discharge on pressure over the canaliculus. A 'pouting' punctum may be a diagnostic clue in mild cases. In contrast to dacryocystitis, there is no lacrimal sac involvement. Concretions (sulfur granules) are metabolic products of Actinomyces and other hydrogen sulfide-utilizing bacteria, and classically are expressed on canalicular compression or following canaliculotomy